Common bile duct stones will manifest all except -
1. Distended gall bladder
2. Jaundice
3. Itching
4. Clay coloured stools

Correct answer: 1. Distended gall bladder